Which of the following is not given for acute severe bronchial asthma:
1. Salbutamol
2. Terbutaline
3. Salmeterol
4. Methyl xanthine

Correct answer: 3. Salmeterol

Explanation: Ans. C: Salmeterol Short acting beta2 agonits are the agent of choice for acute severe asthma Long acting beta-2 agonists (LABAs), such as salmeterol and formoterol, with a duration of action of at least 12 hours, represent the first choice of add-on therapy. They have consistently been demonstrated to improve asthma control and reduce the frequency and severity of exacerbations when compared to increasing the dose of inhaled corticosteroids (ICS) alone